Screening tests for B cell defects
1. Isohemagglutinin titers
2. CD 4 levels
3. Nitroblue tetrazolium dye test
4. Candida albicans intradermal skin test

Correct answer: 1. Isohemagglutinin titers

Explanation: T cell markers are unidigits (Eg: CD3) B cell markers are double digits (Eg: CD20)